Morrey and Peterson's criteria for diagnosis used in
1. TB Hip
2. Osteomyelitis
3. Brodie's abscers
4. TB Knee

Correct answer: 2. Osteomyelitis